Commonest etiology of erythema multiforme is -
1. Viral
2. Bacterial
3. Food
4. Drugs

Correct answer: 1. Viral

Explanation: A. i.e. Viral